Most frequent benign bone tumor of hand is -
1. Enchondroma
2. Osteochondroma
3. Chondrosarcoma
4. Glomus tumor

Correct answer: 1. Enchondroma

Explanation: Ans. is 'a' i.e., Enchondroma Important facts* Commonest bone malignancies Secondaries (metastases)* Commonest primary malignant tumor-Multiple myeloma* Commonest primary malignant tumor o long bones-Osteosarcoma* Commonest benign tumor of bonne-Osteochondroma(Osteochondroma is not ture neoplasm since its growth stops with cessation of growth at the epiphyseal plate)* Commonest true benign tumor of bone-Osteroid osteoma* Commonest benign tumor of hand-Enchondroma